Most common carcinoma after renal transplantation:
1. skin
2. Renal cell ca
3. Lung
4. Adrenal ca

Correct answer: 1. skin

Explanation: Ans: a (Skin cancer) Ref; Campbells Urology, 8th ed, p. 373Immunosuppressed patients are more likely to develop cancer than age matched subjects in general population.Among the tumours, in renal transplant recipients, the common cancers in order:Skin cancerLymphomaKaposi sarcomaCa cervixRenal tumours andCa of vulva and perineumInfections after kidney transplantation:SiteEarly <1 monthMiddle (1 -4 months)Late > 6 monthsUrinary tractBacteriaKlebsiellaPseudomonasCandidaCMVBacteriaLungBacteria-legionellaCMVPneumocystisAspergillusLegionellaListeriaNocardiaAspergillusMucorCNS CMV encephalitisToxoplasmosisCMVListeriaAspergillusCryptococcal meningitisNocardia